Upper limb weight is transmitted to axial skeleton by all except?
1. Coracoacromial ligament
2. >Claviculoclavicular [interclavicularj ligament
3. >Costoclavicular ligament
4. >Acromioclavicular ligament

Correct answer: 1. Coracoacromial ligament

Explanation: Coracoacromial ligament The weight of the upper limb is transmitted from the scapula to the clavicle through the acromioclavicular joint and from the clavicle to the axial skeleton through the sternoclavicular joint. Thus the ligaments maintaining the stability of these two joints transmit the weight of the upper limb to the axial skeleton. Acromioclavicular joint Acromioclavicular joint is formed by articulation between the lateral end of the clavicle and the medial margin of the acromial process of the scapula. Ligaments stabilizing the joint are: - Acromioclavicular ligament - Coracoclavicular ligament (this is the major ligament transmitting upper limb weight to the clavicle) Sternoclavicular joint Sternoclavicular joint is the only skeletal articulation between the upper limb and the axial skeleton. It is a compound joint with 3 elements taking part in the joint: 1) medial end of the clavicle 2) the clavicular notch of the manubrium sterni and 3) first costal cartilage The ligaments of the joint are: - the anterior and posterior sternoclavicular ligaments , - the costoclavicular ligaments on each side, _ and the midline interclavicular ligament. The interclavicular ligament passes between the sterna ends of the right and left clavicles, with some of the fibres attached to the upper border of the manubrium sterni. Costoclavicular ligament connects the clavicle to the upper surface of the first rib and its cartilage. This ligament is very strong and is the major stabilizing factor of the sternoclavicular joint. The Coracoacromial Ligament is a strong ligament, extending between the coracoid process and the acromion. This ligament, together with the coracoid process and the acromion, forms the coracoacromial arch which prevents upward dislocation of the humerus. It extends between two processes of the scapula and takes no part in transmission of weight of the upper limb to the axial skeleton.